The period of normalcy is seen between two psychosis. The diagnosis is -
1. Schizophrenia
2. Manic depressive psychosis (MDP)
3. Alcoholism
4. Depression

Correct answer: 2. Manic depressive psychosis (MDP)

Explanation: There is a period of euthymia (normal mood) between the episodes of mania and depression.